Eczema herpeticum seen with:
1. HSV
2. EBV
3. CMV
4. VZV

Correct answer: 1. HSV

Explanation: A (HSV) ECZEMA HERPATICUM/KAPOSi'S VARICEL1FORM ERUPTIONS KVE is wide spread cutaneous infection with a virus which normally causes localized or mild vesicular eruption occurring in patients with pre-existing skin disease | | |Infectious agentPredisposing factor (damaged skin)||* Herpes simplex virus (HSV1) is mostcommon cause (Eczema berpaticum)* Coxsackie A 16* Vaccinia* Small pox vaccination (Eczema vaccinatum)^ * Atopic eczema (most common predisposing factor). Allergic contact dermatosis, Darrier's disease* Pemphigus foliaceous, benign familial pemphigus* Icthysosis vulgaris, congenital ecthyosiform erythroderma* Mycosis fungiodes, Sezary synodrome* Bums (2nd and 3rd degree) Eczema HerpeticumIt is a disseminated herpes infection generally at sites of epidermal disruption such as atopic dermatitis, burns, eczema etc.The causative organism is herpes simplex virus type 1Exzema herpeticum results in a severe disseminated infection, involving multiple organs - eyes, brain, lung, liver and others and can be fatal.Treatment of choice is systemic antiviral drugs, such as acyciovir or vataeyclovir.When smallpox vaccination was still being routinely administered, the vaccinia virus used in the smallpox vaccine could cause a similar syndrome if the patient had an active eczema. This condition is called eczema vaccinatum.Eczema herpeticum and eczema vaccination are collectively known as Kaposi's varicelliform eruption